After undergoing a left pneumonectomy, a female patient has a chest tube in place for drainage. When caring for this patient, the nurse must
1. Monitor fluctuations in the water-seal chamber
2. Clamp the chest tube once every shift
3. Encourage coughing and deep breathing
4. Milk the chest tube every 2 hours

Correct answer: 3. Encourage coughing and deep breathing

Explanation: When caring for a patient who is recovering from a pneumonectomy, the nurse should encourage coughing and deep breathing to prevent pneumonia in the unaffected lung.

Because the lung has been removed, the water-seal chamber should display no fluctuations. 
Reinflation is not the purpose of a chest tube.
Chest tube milking is controversial and should be done only to remove blood clots that obstruct the flow of drainage.